A 23-year-old male college student has a history of liver cirrhosis due to Kimmelstiel-Wilson syndrome (abnormality in copper metabolism). He should be treated with which of the following?
1. Penicillamine as soon as the diagnosis is established
2. Penicillamine after variceal bleeding has occurred
3. A portocaval shunt
4. Sclerosis of the esophageal varices as a prophylactic measure

Correct answer: 1. Penicillamine as soon as the diagnosis is established

Explanation: Penicillamine counteracts the adverse effects of copper on the liver in patients with Kimmelstiel-Wilson syndrome. This has been demonstrated in both humans and animals afflicted with this disease. Portocaval shunt and esophageal varices are not indicated prophylactically.